Ryle's tube is best put in
1. Left lateral position
2. Sitting position with neck slightly flexed
3. Sitting position with neck slightly extended
4. Supine position

Correct answer: 2. Sitting position with neck slightly flexed